For refraction in a hypermetropic child, which is the best drug?
1. Phenylephrine
2. Atropine ointment
3. Atropine drops
4. Homatropine

Correct answer: 2. Atropine ointment

Explanation: B i.e. Atropine ointment. Atropine (1%) eye ointment is the strongest cycloplegic agent, which is instilled twice a day for three days prior to the refraction (retinoscopy). The parents should be warned that the child will experience blurred vision and photophobia for a period of 10 to 14 days. Also, some children may experience flushing of the face, confusion, tachycardia or an allergic reaction. Atropine eye drops have a higher chance of being absorbed systemically the nasolacrimal passage, and thus, atropine eye ointment and punctal pressure is preferred, especially in infants. The more commonly used regimen for cycloplegia includes cyclopentolate (1%) eye drops instilled twice followed by tropicamide (0.8%) with phenylephrine (5%), commercially available combination eye drops, once, at 5 minute intervals